Iv glucose tolerance is done in -
1. Children
2. Pregnancy
3. Gastrectomy
4. Old age

Correct answer: 3. Gastrectomy

Explanation: The IV Glucose Tolerance Blood Test helps determine glucose levels in blood, after intravenous administration of a 50% solution of glucose. It is used to diagnose diabetes, cancers, and metabolic disordersThis test is more sensitive than the oral glucose tolerance blood test because the glucose sample does not have to go through the digestive system. It also allows for individuals who cannot eat or tolerate glucose to measure their glucose tolerance . Following are the clinical indications for performing the IV Glucose Tolerance Blood Test: Monitoring glucose levels of individuals with diabetes Inability to eat or tolerate glucose (else, the oral glucose tolerance blood test may be performed) Family history of diabetes Extensive surgery or injury Frequent urination Increased thirst Fatigue Blurry vision Rapid weight loss Tingling and numbing in the extremities Giving birth to a baby over 9 pounds Obesity History of cardiovascular disease It is done in gastrectomy paitents as they are unable to consume glucose orally and not able to undergo OGTT. Ref -